True statement about Widal test in typhoid is-
1. O-antigen titre remains positive for several months & reaction to it is rapid
2. H-antigen titre remains positive for several months & reaction to it is rapid
3. Both remain positive for several months & reaction to both is rapid
4. None

Correct answer: 2. H-antigen titre remains positive for several months & reaction to it is rapid